Acinic cell carcinoma of the salivary gland arise most often in the
1. Parotid salivary gland
2. Submandibular salivary glands
3. Minor salivry glands
4. Sublinguial salivary glands

Correct answer: 1. Parotid salivary gland

Explanation: ACINIC CELL CARCINOMA It is a low-grade tumour which appears similar to a benign mixed tumour. It presents as a small, firm, movable and encapsulated tumour, sometimes bilateral. Metastases are rare. A conservative approach of superficial or total parotidectomy is adopted. Ref:- Dhingra; pg num:-235